Axillary sheath is an extension of-
1. Pretracheal fascia
2. Prevertebral layer of deep cervical fascia
3. Investing layer of deep cervical fascia
4. None

Correct answer: 2. Prevertebral layer of deep cervical fascia

Explanation: Ans. is 'b' i.e., Prevertebral layer of deep cervical fascia 'Axillary sheath and fascia around trunk of brachial plexus are derived from prevertebral fascia (prevertebral layer of deep cervical fascia).'